Investigation of choice for diagnosis of bronchiectasis
1. Bronchoscopy with bronchoalveolar lavage
2. HRCT
3. Chest X-ray
4. MRI

Correct answer: 2. HRCT

Explanation: HRCT is investigation of choice for diagnosis of bronchiectasis. High Resolution Computed tomography (HRCT) HRCT uses very thin 1-2 mm thin slices Q .
HRCT is used primarily to diagnose: Bronchiectasis Q Interstitial lung disease Q (Fibrosing alveolitis, asbestosis) Bronchiectasis Abnormal and permanent dilatation of bronchi Q .
The bronchial dilatation of bronchiectasis of is associated with destructive and inflammatory changes in the walls of medium sized airways,
often at the level of segmental or subsegmental bronchi.